All are the features of Korsakoff's syndrome except:
1. Confabulation
2. Retrograde amnesia
3. Antegrade amnesia
4. Defective motor skill

Correct answer: 4. Defective motor skill

Explanation: D i.e. Defective motor skill